Nitroglycerine causes all, EXCEPT:
1. Hypotension and Bradycardia
2. Methamoglobinemia
3. Hypotension and Tachycardia
4. Vasodilatation

Correct answer: 1. Hypotension and Bradycardia

Explanation: Nitroglycerin is predominantly a venodilator. With large doses of NTG, a significant fall in blood pressure and a reflux sympathetic activation resulting in tachycardia occurs. Ref: KDT 6th Edition, Page 523; Essentials of Medical Pharmacology By K D Tripathi, 5th Edition, Pages 488-90